Which of the following statements about Von-Hippel Lindau syndrome is true -
1. Multiple tumors are rarely seen
2. Craniospinal hemangioblastomas are common
3. Superatentorial lesions are common
4. Tumors of Schwann cells are common

Correct answer: 2. Craniospinal hemangioblastomas are common